Thudichum's speculum is used to visualise:
1. Tonsils
2. Larynx
3. Anterior nasal cavity
4. Posterior nares

Correct answer: 3. Anterior nasal cavity

Explanation: (c) Anterior nasal cavity(Ref. Scott Brown, 8th ed., Vol 1, 978)Thudichum's speculum is used to visualise the anterior nasal cavity. This examination is known as anterior rhinoscopy.Tonsils can be visualised by depressing the tongue with a tongue depressor.Larynx can be visualised by indirect laryngoscopic mirror.Posterior nares can be visualised by post nasal mirror on posterior rhinoscopy.